Potts shunt is :
1. Rt subclan aery to pulmonary aery
2. Descending aoa to left pulmonary aery
3. Left subclan to left pulmonary aery
4. Ascending aoa to right pulmonary aery

Correct answer: 2. Descending aoa to left pulmonary aery

Explanation: Answer is B (Descending aoa with left pulmonary aery) Pott's shunt involves anastomosis between descending aoa and pulmonary aery Palliative treatment in Fallot's Tetralogy consists of anastamosing a systemic aery with the pulmonary aery to increase the pulmonary blood flow and thus increase the amount of oxygenated blood reaching the systemic circulation. These palliative procedures prolong life and increase exercise tolerance. There are three such systemic - pulmonary anastamosis: Ballock Tausigg shuntQ : Anastamosis between subclan aery and pulmonary aery.Q Potts shuntQ : Anastamosis between descending aoa and pulmonary aery.Q Waterson shunt : Anastamosis between ascending aoa and right pulmonary aery.Q